Difference of - cm or more in the size of two kidneys raises a possibility of unilateral disease?
1. 1
2. 1.5
3. 2
4. 2.5

Correct answer: 3. 2

Explanation: Ans CDifference in sizes between the two kidneys up to 1.5 - 2 cm is not significant with left always being slightly larger than right